Which of the following muscle is derivative of 1st arch:
1. Stylopharyngeus
2. Tensor tympani
3. Platysma
4. Cricothyroid

Correct answer: 2. Tensor tympani

Explanation: Tensor tympani muscle develops in the first pharyngeal arch. Stylopharyngeus develops in 3rd arch. Platysma develops in 2nd arch. Cricothyroid develops in 4th arch.